Initial manifestation as an infection of the limbic regions of the brain is seen in children with the following infection ?
1. Enterovirus
2. Rabies
3. Epstein-Barr virus
4. Cytomegalovirus

Correct answer: 2. Rabies

Explanation: Rabies has 2 principal forms. Encephalitic or "furious" rabies begins with nonspecific symptoms, including fever, sore throat, malaise,headache,nausea and vomiting and weakness. These are accompanied by paresthesias and pruritus at or near bite site that extend along the affected limb. Then the patient starts showing typical symptoms of severe encephalitis, with agitation, depressed mentation, and occasionally seizures. Characteristically patients with rabies encephalitis initially have periods of lucidity intermittent with periods of profound encephalopathy. Reference : Nelson textbook of pediatrics 19th edition Page 1155